The clinical effects of the antidepressant drugs is mainly based on -
1. Change in neurotransmitter receptor sensitivity
2. Decreased level of neurotransmitters
3. Change in efficacy of neurotransmitters
4. None of the above

Correct answer: 1. Change in neurotransmitter receptor sensitivity

Explanation: Ans. is 'a' i.e., Change in neurotransmitter receptor sensitivity